Reed Sternberg cells are found in -
1. Hodkin's disease
2. Sickle cell anaemia
3. Thalassemia
4. CML

Correct answer: 1. Hodkin's disease

Explanation: Ans. is 'a' i.e., Hodgkin's disease o Pathologically, Hodgkins disease is distinguished from other lymphomas by the presence of Reed Sternberg cells.o Reed Sternberg cells are not absolutely specific for Hodgkins disease and have also been noticed in cases of infectious mononucleosis and other malignancies including lymphoma, carcinoma and sarcomas,o Therefore, Reed-Stemberg, cells are not sufficient to establish the diagnosis of Hodgkins disease,o The diagnosis of hodgkins1 lymphoma requires the presence ofboth the characteristic Reed-Stemberg cells and the characteristics cellular environment comprising of lymphocytes, histiocytes, granulocytes, eosinophils and plasma cells.o One more method which can be useful in the diagnosis is immunophenotyping for CD-I5 and CD-30. The neoplastic cells of Hodgkins disease, both classic Reed-stemberg cell and Reed-sterberg variants, tend to stain positively with these antibodies.o In addition R.S. cells of lymphocytic predominant cells are also positive for CD20.o Atypical cells can be seen in some types of Hodgkins disease, but they are not diagnostic.